A patient presented with pain abdomen, X-Ray, AP view shows calcification on right side of abdomen. In lateral view calcification is seen to overlie the spine. What is the most likely diagnosis?
1. Calcification in vertebral sphenoid process
2. Calcified mesenteric nodes
3. Gall stone
4. Renal stone

Correct answer: 4. Renal stone

Explanation: Calcification on AP view in right side of abdomen and overlying the spine in lateral view points towards Renal stones( retroperitoneal). X-ray lumbar spine showing radio-opaque lesion in left paravertebral space which on lateral X-ray overlies with spine.